Which of the following is a property of viscoelastic material?
1. Strain instantaneously during rapid stretching
2. Strain linearly over time when a stress is applied slowly
3. Both
4. None

Correct answer: 3. Both

Explanation: Viscoelasticity — The ability of a material to strain instantaneously like an elastic solid during rapid stretching or to resist shear flow and to strain linearly over time (like honey) when a stress is applied slowly.
Ref: Phillip’s Science of Dental Materials ed 12 page no. 152